In severe heat strain the heat stress index (HIS) is ?
1. 30-Oct
2. 40-60
3. 70-90
4. 100

Correct answer: 2. 40-60

Explanation: Ans. is lb' ., 40-60 orT HSI 40-60 causes severe heat strain and it is not possible to work comfortably.